Delayed puberty in female-
1. No breast budding in 10 years
2. Menarche > 16 year
3. menarche > 1 year of brean budding
4. FSH < 20 in 16 year

Correct answer: 2. Menarche > 16 year

Explanation: Ans. is 'b' i.e., Menarche Delayed PubertyMore common in boy than girlMost common cause in constitutional delayGirls-Delayed puberty is defined asLack of secondary sexual character by age of 17 yearsAbsence of menarche by age of 16 year5 year a fter pubertal onset.Boys-Lack ofpubertal changes by the age of 14 years.